Which of the following may result in sudden increase in ETCO2–
1. Malignant hyperthermia
2. Hyperthyrodism
3. Shivering
4. All of the above

Correct answer: 4. All of the above

Explanation: Malignant hyperthermia, hypermetabolic states (hyperthyroidism) and increased skeletal muscle activity (shivering) can cause rise in ETCO2